In which of the following organ 'Peg Cells' are characteristically seen?
1. Vagina
2. Vulva
3. Ovary
4. Tubes

Correct answer: 4. Tubes

Explanation: The mucosa of uterine tubes or fallopian tubes is composed of a simple columnar epithelium on a lamina propria of loose connective tissue. The epithelium contains two interspersed, functionally important cell types: ciliated cells and darker staining secretory cells, or peg cells, whose apical ends typically bulge into the lumen. The cilia beat toward the uterus, causing movement of the viscous liquid film that covers the epithelial surface and contains glycoproteins and nutritive components produced by the secretory cells. Triggered primarily by estrogens, the cilia elongate and both cell types undergo hypertrophy during the follicular growth phase of the ovarian cycle and undergo atrophy with loss of cilia during the late luteal phase. Ref: Mescher A.L. (2010). Chapter 22. The Female Reproductive System. In A.L. Mescher (Ed), Junqueira's Basic Histology: Text & Atlas, 12e.